All of the following about Down's syndrome are true except:
1. PDL degeneration takes place
2. Tooth never exfoliates though there is advanced PDL loss
3. Deep periodontal pockets associated with a substantial plaque
4. Acute necrotizing lesions are a frequent finding

Correct answer: 2. Tooth never exfoliates though there is advanced PDL loss